All are true about Giant cell arteritis except
1. Involves large to small sized areteries
2. Granulomatous inflammation
3. Most commonly involved artery is abdominal aorta
4. Segmental nature of the involvement

Correct answer: 3. Most commonly involved artery is abdominal aorta

Explanation: Giant cell (temporal) arteritis is the most common form of vasculitis among the elderly in developed countries. It takes the formof chronic, typically granulomatous, inflammation of large tosmall size arteries, mainly those supplying the head--especially the temporal arteries.Vertebral and ophthalmic arteries, as well as the aorta (giant cell aortitis), also can be involved.Because ophthalmic artery involvement can lead to suddenand permanent blindness, affected persons must be diagnosedand treated promptly.Robbins Basic pathology,9th edition,pg no.350